Which of the following is not safe in pregnancy?
1. USG
2. Doppler
3. MRI
4. CT

Correct answer: 4. CT

Explanation: CT uses X-rays so it is not safe during pregnancy. CT scan while pregnant first trimester has the highest risk to the developing foetus due to the carcinogenic and teratogenic effects of the ionizing radiation.